Anxiety is ?
1. Neurosis
2. Psychosis
3. Personality disorder
4. None

Correct answer: 1. Neurosis

Explanation: Ans., A. NeurosisImpoant neurotic disorders are Anxiety disorders (Panic), Phobia (Phobic anxiety disorder), obsessive compulsive Disorder & Dissociative conversion disorder.